Commonest side effect of antihistaminics is?
1. Sedation
2. Tinnitus
3. Euphoria
4. Lassitude

Correct answer: 1. Sedation

Explanation: Ans. is 'a' i.e., Sedation o Sedation, diminished alertness, concentration, light headedness, motor in coordination, fatigue and tendency to fall asleep are the most common side effects.